Parasympathetic nerve supply to salivary glands is by
1. VII and IX cranial nerves
2. IX and X cranial nerves
3. V and X cranial nerves
4. VII and IX spinal nerves

Correct answer: 1. VII and IX cranial nerves